Which of the following statement regarding Rota virus is false?
1. Most commonly affects children
2. Double stranded RNA virus
3. It is a non enveloped virus
4. None of the above

Correct answer: 4. None of the above

Explanation: Rota virus is a double stranded RNA virus belonging to the family Reoviridae. The RNA is enclosed in a triple layered, non enveloped icosahedral capsid. It is one of the commonest cause for watery diarrhoea in children. Oral rehydration therapy is the most appropriate treatment of choice.